Language or comprehension difficulty in the receiver is a _________ type of barrier of communication
1. Physiological
2. Psychological
3. Cultural
4. Environmental

Correct answer: 2. Psychological

Explanation: Health education may often fail due to communication barriers between the educator and the community1) Physiological: Difficulties in the hearing, expression2) Psychological: Emotional disturbances, Neurosis, Levels of intelligence, Language or comprehension difficulties3) Environment: Noise, Invisibility, Congestion4) Cultural: Illiteracy, Levels of knowledge and understanding, customs, beliefs, religion, attitudes, economic and social class differences, language variations, Cultural differences (foreign, urban/rural)Park 23e pg: 857